Which of the following is a monoclonal antibody against IL-5
1. Omalizumab
2. Mepolizumab
3. Tocilizumab
4. Alemtuzumab

Correct answer: 2. Mepolizumab

Explanation: Mepolizumab & Reslizumab are monoclonal antibodies against IL-5 used in bronchial asthma, which act by inhibiting recruitment of esinophils.